The purest form of metal used in Dental casting
1. CpTi
2. NiTi
3. Gold
4. Co-Cr

Correct answer: 1. CpTi

Explanation: Commercially pure titanium (CPTi), which is important for implants and restorative dentistry, consists of high-purity (99 wt% or higher) titanium, with oxygen, carbon, nitrogen, and hydrogen atoms dissolved interstitially.
Phillip’s 12th edition page 80